Ekiri syndrome is seen in infection with -
1. Salmonella
2. E.coli
3. Shigella
4. Pseudomonas

Correct answer: 3. Shigella

Explanation: Ans. is 'c' i.e., ShigellaEkiri syndrome:o Ekiri syndrome is a lethal toxic encephalopathy due to Shigella infection in childhood.o It is a rare complication but is quite fatal.Extraintestinal manifestion, of shigellosis :o Seizureso Hemolytic uremic syndromeo Septicemiao Reactive arthritis/Reiter s syndromeo Toxic encephalopathy (ekiri syndrome)